A symmetric high-voltage, triphasic slow wave pattern is seen on EEG in the following :
1. Hepatic encephalopathy
2. Uremic encephalopathy
3. Hypoxic encephalopathy
4. Hypercarbic encephalopathy

Correct answer: 1. Hepatic encephalopathy

Explanation: Answer is A (Hepatic encephalopathy) `Symmetric, high voltage, triphasic slow wave (2 - 5 /second) pattern on Electroencephalogram (EEG) is characteristic (but non specific) of Hepatic encephalopathy' The diagnosis of hepatic encephalopathy should be considered when four major factors are present Acute or chronic hepatocellular disease and / or extensive portal systemic collateral shunts. Disturbance of awareness and mentation which may progress from forgetfulness and confusion to stupor and finally coma. Shifting combinations of neurological signs including asterixis, rigidity, hyperreflexia, extensor plantar signs and rarely seizures. A characteristic but (nonspecific), symmetric, high voltage, triphasic slow wave (2 to 5 /second) pattern on electroencephalogram.